All of the following organs contain aneurysm in polyarteritis nodosa except?
1. Liver
2. Lung
3. Kidney
4. Pancreas

Correct answer: 2. Lung

Explanation: Pathophysiology in Polyarteritis nodosa The vascular lesion in polyarteritis nodosa is a necrotizing inflammation of small- and medium-sized muscular arteries. The lesions aresegmental and tend to involve bifurcations and branchings of arteries.They may spread circumferentially to involve adjacent veins. However,involvement of venules is not seen in polyarteritis nodosa and, if present, suggests microscopic polyangiitis (see below). In the acute stagesof disease, polymorphonuclear neutrophils infiltrate all layers of thevessel wall and perivascular areas, which results in intimal proliferation and degeneration of the vessel wall. Mononuclear cells infiltratethe area as the lesions progress to the subacute and chronic stages.Fibrinoid necrosis of the vessels ensues with compromise of the lumen,thrombosis, infarction of the tissues supplied by the involved vessel,and, in some cases, hemorrhage. As the lesions heal, there is collagendeposition, which may lead to further occlusion of the vessel lumen.Aneurysmal dilations up to 1 cm in size along the involved arteriesare characteristic of polyarteritis nodosa. Clinical features Ref - HArrisons 20e p2582